Case fatality rate describes:
1. Communicability of infection
2. History of disease
3. Virulence of organism
4. Contribution of a disease among all deaths

Correct answer: 3. Virulence of organism

Explanation: Case fatality rate: Deaths/cases x 100 CFR represents "Killing power of a disease". It is closely related to "Virulence of organism". It is applicable only for acute diseases. Time interval is not specified.